Drug causing deafness is :
1. Thiazide
2. Spiranolactone
3. Ethacrynic acid
4. Triamterene

Correct answer: 3. Ethacrynic acid